The most common tumour that spreads into the orbit from the intracranial cavity is:
1. Astrocytoma
2. Pituitary adenoma
3. Sphenoid wing-meningioma
4. Neurofibroma

Correct answer: 3. Sphenoid wing-meningioma

Explanation: Ans. Sphenoid wing-meningioma